"Diluting segment" of a nephron is:
1. Descending limb of loop of Henle
2. Thick ascending limb of loop of Henle
3. DCT
4. Collecting duct

Correct answer: 2. Thick ascending limb of loop of Henle

Explanation: Thick ascending LOH is k/a the diluting segments of the nephron. It is impermeable to water. It has NKCC cotransporter proteins that reabsorb Na+, K+, 2Cl- ions. Thus,There is a net reabsorption of solutes with no movement of water, making the tubular fluid that reaches the DCT hypotonic.